Preauricular sinus is formed due to
1. Improper fusion of auricular tubercles
2. Persistent opening of first bronchial arch
3. Degeneration of auricular tubercles
4. None of the above

Correct answer: 1. Improper fusion of auricular tubercles

Explanation: Preauricular appendages form due to development of accessory hillocks where as preauricular sinus/pits occur due to abnormal development of auricular tubercles/hillocks(six mesodermal thickenings) REFERENCE: TEXTBOOK OF CLINICAL EMBRYOLOGY... VISHRAM SINGH SECOND EDITION..PAGE NO:312